Malonate competetively inhibits
1. Fumarate dehydrogenase
2. Succinate thiokinase
3. Aconitase
4. Succinate dehydrogenase

Correct answer: 4. Succinate dehydrogenase

Explanation: Succinate dehydrogenase